ASCOff'S bodies are seen in
1. LIb-man sac endocarditis
2. Rheumatic heart disease
3. Bacterial endocarditis
4. Marantic endocarditis

Correct answer: 2. Rheumatic heart disease

Explanation: Acute rheumatic fever is characterized by discrete inflammatory foci within a variety of tissues. The myocardial inflammatory lesions--called Aschoff bodies--are pathognomonic for rheumatic fever (Fig. 10-19, B); these are collections of lymphocytes (primarily T cells), scattered plasma cells, and plump activated macrophages called Anitschkow cells occasionally punctuating zones of fibrinoid necrosis. (Robbins Basic pathology,9th edition.pg no.391)